Amyloid protein seen in dialysis patients -
1. AA
2. AL
3. Beta - 2- microglobulin
4. ATTR

Correct answer: 3. Beta - 2- microglobulin

Explanation: Answer- C. Beta - 2- microglobulinA Beta- 2mPrecursor- Beta-2 microglobulinSyndrome- Hemodialysis